Catabolism of long chain fatty acids occurs in?
1. Peroxisome
2. Mitochondria
3. Golgi bodies
4. Endolysosome

Correct answer: 2. Mitochondria

Explanation: Mechanism of catabolism Chief organelle Fatty Acids Beta oxidation mitochondria Long chain fatty acids, Medium chain fatty acids,S ho chain fatty acids Beta oxidation Peroxisomes Ver long chain fatty acids Omega oxidation Endoplasmic reticulum Only when oxidation does not occur in mitochondria Alpha oxidation Peroxisomes Branched chain fatty acids Reference: Lippincotts illustrated Reviews,6th edition